In T.B/ a ‘case’ is”
1. Cough
2. Mantoux positive
3. Sputum positive
4. X-ray positive

Correct answer: 3. Sputum positive